Most peptide and protein hormones are synthesized as
1. A secretagogue
2. A pleiotropic hormone
3. Proopiomelanocoin (POMC)
4. A preprohormone

Correct answer: 4. A preprohormone

Explanation: Preprohormones are the gene products for most peptide and protein hormones. These are rapidly cleaved to form prohormones. POMC and propressophysin are two examples of specific prohormones.Ref: Guyton; 13th edition